Which of the following increases the intraocular pressure:
1. Propofol
2. Thiopentone
3. Ketamin
4. Barbiturate

Correct answer: 3. Ketamin

Explanation: Ketamine increases the intraocular pressure.